Mechanism of action of tetanospasmin
1. Inhibition of GABA release
2. Inhibition cAMP
3. Inactivation of Ach receptors
4. Inhibition of cGMP

Correct answer: 1. Inhibition of GABA release

Explanation: Ans. is 'a' i.e., Inhibition of GABA release . Tetanospasmin blocks the release of inhibitory neurotransmitters (GABA and glycine) in brain-stem and spinal cord.